In which of the following conditions the sensory loss is clearly demarcated by midline?
1. Conversion disorder
2. Charcot's neuropathy
3. Peripheral neuritis
4. Leprosy

Correct answer: 1. Conversion disorder

Explanation: Sensory loss in conversion disorder can present with some unusual presentations: Clearly demarcated midline splitting (as given in the question) Sensory limited to the hair line Loss of pain but not temperature Bilateral blindness with ability injury avoidance while walking Preserved pupillary dilatation in the affected eye Non-anatomical distribution of sensory loss